Which of the following bones is the most accurate sex determination
1. Skull
2. Pelvis
3. Long bone
4. Sternum

Correct answer: 2. Pelvis

Explanation: The whole pelvis is the most reliable bone for sex determination Krogmans degree of accuracy in sex determination from adult skeleton remains *Entire skeleton -100 percent *pelvis alone -95 percent *skull alone -90 percent *pelvis plus skull -98 percent *long bones alone -80 to 90 percent *long bones and skull -90 to 95 percnt *long bones and pelvis -Greater than 95 percent Knights Forensic Pathology 4th edition page number 106